Procalcitonin is used as marker of
1. Cardiac dysfunction in acute coronary syndrome
2. Menstrual perodicity
3. Pituitary function
4. Sepsis

Correct answer: 4. Sepsis

Explanation: ref Harrison 18/e p3419 Procalcitonin is an acute phase reactant which is now useful for being a marker of sepsis Procalcitonin (PCT) is a biomarker that exhibits greater specificity than other proinflammatory markers (eg, cytokines) in identifying patients with sepsis and can beused in the diagnosis of bacterial infections